All of the following form the ligamentous extensions of the hypogastric sheath, EXCEPT:
1. Uterosacral ligament
2. Mackenrodt's ligament
3. Lateral true ligaments of bladder
4. Broad ligament

Correct answer: 4. Broad ligament

Explanation: Broad ligament is a false ligament of the uterus. It is a large double fold of peritoneum extending from the body of the uterus to the lateral pelvic wall. The Hypogastric sheath is formed by the fibrous, condensed portions of the endopelvic fascia which lies between, and is continuous with, both the visceral and parietal layers of the pelvic fascia. The broad ligament is not part of this fascia.